Mallampati classification is done for
1. Mobility of the neck
2. Size of the airway
3. Oral cavity of patient for intubation
4. Size of endotracheal tube.

Correct answer: 3. Oral cavity of patient for intubation

Explanation: Mallampati grading assesses mouth opening.